The best method to reduce radiation caries is application of
1. 0.5% neutral sodium fluoride gel
2. 1% neutral sodium fluoride gel
3. 0.5% stannous fluoride gel
4. 1% stannous fluoride gel

Correct answer: 2. 1% neutral sodium fluoride gel

Explanation: The best method to reduce radiation caries is daily application of a viscous topical 1% neutral sodium fluoride gel in custom-made applicator trays. The best results are achieved from a combination of restorative dental procedures, excellent oral hygiene, a diet restricted in cariogenic foods, and topical applications of sodium fluoride. Patient cooperation in maintaining oral hygiene is extremely important because radiation caries is a lifelong threat. Teeth with gross caries or periodontal involvement are often extracted before irradiation.
Key Concept:
The best method to reduce radiation caries is daily application of a viscous topical 1% neutral sodium fluoride gel in custom-made applicator trays.
White and Pharoah's Oral Radiology Principles and Interpretation 8th edition